Marker of neural tube defects is:
1. PAPPA
2. hCG
3. Estriol
4. Acetylcholinesterase

Correct answer: 4. Acetylcholinesterase

Explanation: d. Acetylcholinesterase(Ref: Nelson's 20/e p 2802-2803, Ghai 8/e p 575-577)Diagnosis Tools for prenatal diagnosis of Neural tube Defects include detailed ultrasound examinations and measurements of maternal serum -fetoprotein MSAFP, amniotic fluid a-fetoprotein, and amniotic fluid acetylcholinesterase (AChE).